All are indications of methotrexate except?
1. Leukemia
2. Breast cancer
3. Rheumatoid arthritis
4. Renal failure

Correct answer: 4. Renal failure

Explanation: Ans. is 'd' i.e., Renal failure orT MTX, usually in combination with other drugs, is effective against acute lymphocytic leukemia, choriocarcinoma, Burkitt's lymphoma in children, breast cancer, and head neck carcinomas.